A patient is suspected to have vestibular schwannoma. The investigation of choice for its diagnosis is :
1. Contrast enhanced CT scan
2. Gadolinium enhanced MRI
3. SPECT
4. PET scan

Correct answer: 2. Gadolinium enhanced MRI

Explanation: Investigation of choice for vestibular schwannoma (acoustic neuroma) is Gd - enhanced MRI.